Most sensitive and specific test for diagnosis of iron deficiency is -
1. Serum iron levels
2. Serum ferritin levels
3. Serum transferrin receptor population
4. Transferrin saturation

Correct answer: 2. Serum ferritin levels

Explanation: Plasma ferritin is a measure of iron stores in tissues & is the best test to confirm iron deficiency & is a very specific test .

Plasma iron & total iron binding capacity are measures of iron availability ;hence they are affected by many factors besides iron stores.

Plasma iron has a marked diurnal & day to day variation & becomes very low during an acute phase response.

Levels of transferrin are lowered by malnutrition ,liver disease,acute phase response , & nephrotic syndrome.A transferrin saturation of less than 16%is consistent but is less specific than a ferritin measurement .

Reference : Davidson's principles & practice of medicine 22nd edition pg no-1023